Which of the following is a nonculturalable fungus-
1. Rhinosporidium
2. Candida
3. Sporothrix
4. Penicillium

Correct answer: 1. Rhinosporidium